Which is the integrase inhibitor used in treatment of HIV ?
1. Raltegravir
2. Indinavir
3. Lopinavir
4. Fosamprenavir

Correct answer: 1. Raltegravir